Most common cause of death in Rheumatoid Arthritis?
1. Ischemic heart disease
2. ARDS
3. Pulmonary fibrosis
4. Hepatic failure

Correct answer: 1. Ischemic heart disease

Explanation: Answer- A. Ischemic heart diseaseThe overall mortality rate in RA is two times greater than the general population, with ischemic heart disease being the most common cause of death followed by infection.